Which of the following is a monovalent cation that can reverse a digitalis induced arrhythmia?
1. Digibind antibodies
2. Lignocaine
3. Magnesium
4. Potassium

Correct answer: 4. Potassium

Explanation: Potassium (K+) is a monovalent cation that can reverse a digitalis induced arrhythmia. K+ and Digitalis binds on same receptor on Na+/K+ATPase. Hyperkalemia decreases Digitalis toxicity (digitalis induced arrhythmia) and Hypokalemia increases Digitalis toxicity. Ca2+ facilitates the toxic actions of cardiac glycosides by accelerating the overloading of intracellular calcium stores that appears to be responsible for digitalis-induced abnormal automaticity. Hypercalcemia therefore increases the risk of a digitalis induced arrhythmia. The effects of Mg2+ are opposite to Ca2+. These interactions mandate careful evaluation of serum electrolytes in patients with digitalis-induced arrhythmias. Lignocaine: DOC for digitalis induced arrhythmia Digibind antibodies: Used in severe digitalis toxicity.